Serious complication of oral contraceptive is:
1. Leg vein thrombosis
2. Headache
3. Break through bleeding
4. Breast tenderness

Correct answer: 1. Leg vein thrombosis

Explanation: (Leg vein thrombosis): Ref: (432-Park 20th)Venous thrombo-embolism (VITE): - The overall risk is to the extent of 4 - 6 times more than the non users. Pre- existing hypertension, diabetes, obesity and elderly (over 35 years with smoking habits) are of the important risk factor for OCP.CONTRAINDICATION OF COMBINED ORAL PILLSABSOLUTERELATIVE(A) Circulatory disease (Past or present)(B) Disease of the liver(C) Others(1) Obesity (2)Varicosities (3)Epilepsy (4) Bronchial asthma (5) Depression and fluctuation of the mood (6) Age over 35 years (7) Nurshing mothers in the first six months (8) Smoking (9) Gall bladder disease1. Arterior or venous thrombosis2. Severe hypertension3. Valvular heart disease Ischaemic heart disease4. Hyperlipidemia5. Focal migraine* Active liver disease* History of cholestatic jaundice in pregnancy* Liver adenoma carcinoma* Pregnancy* Undiagnosed genital tract bleeding* Estrogen dependent neoplasm eg breast cancer